A 35 year old male presented with nasal discharge, facial pain and fever which subsided with a course of antibiotics and antihistaminics, which recurred again after 2 months. O/E mucopurulent discharge from middle meatus, and inflamed sinus openings, investigation of choice -
1. X-ray PNS
2. NCCT PNS
3. MRI of the face
4. Inferior meatal puncture

Correct answer: 2. NCCT PNS

Explanation: NCCT PNS is non-contrast Computerized Tomography of the Paranasal sinuses. It is a study to determine the status of the nose and sinuses and the extent of sinusitis. Mucosal thickening and the ostial block of all the sinuses means that there are signs of sinusitis or infection and that there is a sinus problem. It is the investigation of choice.